Which of the following malignancy does not show lymphatic metastasis?
1. Squamous cell Ca
2. Basal cell Ca
3. Malignant melanoma
4. Kaposi's sarcoma

Correct answer: 2. Basal cell Ca

Explanation: Basal cell Ca is a low grade malignancy which spread by local invasion and does not show lymphatic metastasis. It is a well defined, firm lesion with waxy beaded margin. The ideal treatment of choice is excision with 0.5cm of normal skin margin. Ref: Illustrated synopsis of Dermatology and Sexually transmitted disease 2nd edn, By Neena Khanna page 308.